Thymoma is associated with -
1. Myasthenia gravis
2. Scleroderma
3. Oesophageal atresia
4. Hypergammaglobulinemia

Correct answer: 1. Myasthenia gravis